All are true about vitamin E except ?
1. Act as antioxidant
2. Prevent lipid peroxidation of cell membrane
3. Water soluble vitamin
4. Chemically tocopheral

Correct answer: 3. Water soluble vitamin

Explanation: Ans. is 'c' i.e., Water soluble vitamin Vitamin E is a fat soluble vitamin (not water soluble). All other options are correct.